Which of the following system is most sensitive to atropine
1. Respiratory mucosa
2. Heart
3. Pupil
4. Gastrointestinal motility

Correct answer: 1. Respiratory mucosa

Explanation: Ref: HL Sharma 3rd ed: Pg no:154 The endpoint for atropinization is dried pulmonary secretions. Tachycardia and mydriasis must not be used to limit or to stop subsequent doses of atropine